Which of the following will cause lathyrism:
1. Kesaridhal
2. Mungdhal
3. Jhunjhunia
4. Condhli

Correct answer: 1. Kesaridhal

Explanation: Ans: a (Kesari dhal) Ref: Park, 19 ed, p. 512Lathyrism is caused by kesari dhal (lathyrus sativus)The toxic principle in kesari dhal is beta oxalyl amino alanineEndemic ascites-Caused by paniculum miliare (Gondhli) which gets contaminated with seeds of crotalaria (Jhunjhunia).Crotalaria seeds contain pyirolizidine alkaloids which are hepatotoxic.Epidemic dropsy-Contamination of mustard oil with argemone oil which containsClinical features: swelling of legDiarrhoeaCardiac failureGlaucomaDiagnostic test: paper chromatography-